Which of the following drugs reduces efficacy of combined OCPs
1. Diazepam
2. Griseofluvin
3. Aspirin
4. Paracetamol

Correct answer: 2. Griseofluvin

Explanation: Griseofluvin is known to reduce efficacy of combined oral contraceptive pills.